A person going to temple gets an irresistible sense of idea to abuse God which can't be resisted. Likely diagnosis is :
1. Mania
2. Obsessive - Compulsive disorder
3. Schizophrenia
4. Delusion

Correct answer: 2. Obsessive - Compulsive disorder

Explanation: Irresistible thought to abuse the God suggests the diagnosis of obsession of thoughts.